Peaso reamer is
1. No. 4= 1.3 mm in size
2. Used for lingual shoulder removal
3. Flame shaped
4. high speed engine driven

Correct answer: 1. No. 4= 1.3 mm in size